Side effects of phenytoin are :
1. Gum hypertrophy
2. Alopecia
3. Subungal exostosis
4. Onycholysis

Correct answer: 1. Gum hypertrophy